Meningomyelocele patient after being operated developed hydrocephalus due to -
1. Arnold chiari malformation
2. Injury to absorptive surface
3. Central canal injury
4. Arachnoidal block

Correct answer: 1. Arnold chiari malformation

Explanation: Meningoceles (or meningomyeloceles) are commonly associated with Arnold Chiari malformation which cause hydrocephalus. Ref : CSDT 13/e p852